A child undergone bilateral adrenalectom, later he developed headache, visual field defect, Hyper pigmentation of skin,what is the most probable diagnosis?
1. Pitutary adenoma
2. Allgrove syndrome
3. Wolman  syndrome
4. Nelson  syndrome

Correct answer: 4. Nelson  syndrome

Explanation: Nelsom syndrome : 
It is complication after bilateral adrenalectomy due to rapid enlargement of pre - existing ACTH producing adenoma with above clinical features.